Cirsoid aneurysms most commonly occur in which of the following vessels?
1. Aortic arch
2. Splenic artery
3. Saphenous vein
4. Superficial temporal artery

Correct answer: 4. Superficial temporal artery

Explanation: Cirsoid aneurysms are rare arteriovenous malformations of the scalp and extremities. Cirsoid aneurysms of the scalp are fed by the superficial temporal artery